Sensory supply of Larynk below vocal cord
1. Extereal branch of superior laryngeal nerve
2. Internal branch of Inferior laryngeal nerve
3. Recurrent laryngeal narve
4. Inferior pharyngeal nerve

Correct answer: 3. Recurrent laryngeal narve

Explanation: Sensory supply larynx :

Above VC = Internal branch of superor laryngeal nerve.
Below VC = Recurent laryngael nerve.